Facial skeleton develops from
1. Neural crest
2. Paraxial mesoderm
3. Intermediate mesoderm
4. Lateral plate mesoderm

Correct answer: 1. Neural crest

Explanation: The viscerocranium forms the facial skeleton and the major part of which develops from mesenchyme derived from 1st and 2nd pharyngeal arches.The lacrimal and nasal bones are derived from neural crest cells. The paraxial mesoderm undergoes segmentation to form somitomeres and somites that further differentiate into sclerotome, myotome, and dermatome. The intermediate mesoderm forms most of the genito-urinary system -eg; kidneys, testes, ovaries The lateral plate mesoderm forms body wall and body cavities. Reference: Textbook of clinical embryology, Vishram Singh,1st edition,page no.94,49